The pacemaker of heart is:
1. SA node
2. AV node
3. Both
4. None

Correct answer: 1. SA node

Explanation: The primary pacemaker of heart is SA node. It shows restless membrane potential similar to Interstitial cells of cajal,Pre-botzinger complex Ref:Guyton and Hall textbook of medical physiology 12th edition,page number:177